Which of the drug is not commonly used in PPH?
1. Mifepristone
2. Misoprostol
3. Oxytocin
4. Ergotamine

Correct answer: 1. Mifepristone

Explanation: Ans. is a, i.e. MifepristoneRef. Dutta Obs. 7/e, p 415, 416; Williams Obs. 23/e, p 775; COGDT 10/e, p 481; Munro Kerr's 10/e, p 426, 427Atonicity is the most common cause of PPH. Any drug which increases the tone of uterus or the force of contraction is used to control PPH and is called oxytocic or uterotonic.Commonly used oxytocics in the management of PPH are:Oxytocin/CarbetocinMetherginSyntometrine - oxytocin + methylorgonovine15 methyl PGF2a (carboprost)Misoprostol (PGE1 )